Wegner's granulomatosis involves
1. Lung
2. Nose
3. Kidney
4. All of the above

Correct answer: 4. All of the above

Explanation: Wegener granulomatosis is a necrotizing vasculitis characterized by a specific triad of findings: * Granulomas of the lung and/or the upper respiratory tract (ear, nose, sinuses, throat) * Vasculitis of small to medium-sized vessels (capillaries, venules, arterioles, and arteries), most prominently in the lungs and upper respiratory tract * Glomerulonephritis "Limited" forms of disease can be restricted to the respiratory tract. Conversely, a widespread form of the disease can affect eyes, skin, and other organs, notably the heart; clinically, this resembles polyarteritis nodosa with the additional feature of respiratory involvement. (Robbins basic pathology,9th edition,pg no.353)